Spider nevi are due to action of -
1. Estrogen
2. Androgen
3. Steroids
4. Progesterone

Correct answer: 1. Estrogen

Explanation: Ans. is 'a' i.e., Estrogen o Spider nevi refer to dilated, visible small blood vessels in the skin.# It is called spider nevi because it consists of central "feeding" blood vessel with numerous fine radiating legs emanating from the central body.o Spider nevi are caused due to vasodilatation of vessels and are usually associated with cirrhosis.o Cirrhosis is associated with vasodilatation and hyperdynamic circulation.o "The cause of vasodilatation in c hr rhas is is uncertain but it is believed to be related to the increased level of estrogen in the body. Estrogen is a female sex hormone which is metabolized bv liver. Thus in liver diseases its level tends to increase which is believe to cause vasodilatation, resulting in spider naevi